Urban Social Health Activist (USHA) workers are proposed to work for population of:
1. 1000-2500
2. 2500-3500
3. 4000-5000
4. 5000-10000

Correct answer: 1. 1000-2500

Explanation: URBAN SOCIAL HEALTH ACTIVIST (USHA):- Frontline community worker expected to deliver services at the doorstep in community. Link between Urban Primary Health Centre (UPHC) and urban slum population. 1 USHA worker per 1000-2500 population (250-500 households). Woman who resides in the slum, preferably 25-45 years age. Chosen through a community driven process involving urban local body of counselors, self - help groups, anganwadis.